Following are extrapyramidal tracts except
1. Reticulospinal
2. Corticospinal
3. Rubrospinal
4. Vestibulospinal

Correct answer: 2. Corticospinal